Alcohol withdrawal presents with all EXCEPT:
1. Hallucinations
2. Tremors
3. Bradycardia
4. Sweating

Correct answer: 3. Bradycardia

Explanation: Ans. (c) BradycardiaRef: Harrison 19th ed. 12727* The symptoms which arises when an alcoholic reduces or stops alcohol consumption after prolonged periods of excessive alcohol intake.* In case of alcohol withdrawal there is hallucinations,, tremors, sweating and tachycardia, NOT bradycardia.* Clinical presentation# Hangover next morning : Most common withdrawal syndrome# Mild tremors (Most Common symptom)# Nausea, vomiting# Weakness, insomnia, anxiety# Delirium tremens: most severe withdrawal syndrome# Alcoholic seizures (Rum fits)# Alcoholic hallucinosisAppearance of Alcohol withdrawal symptomsTimeSymptoms6-12 hoursMinor withdrawal symptoms: insomnia, tremulousness, anxiety, GIT upset, headache, diaphoresis, palpitations, anorexia12-24 hoursAlcoholic hallucinosis; visual, auditory, or tactile hallucination24-48 hoursWithdrawal seizures: generalized tonic-clonic seizures48-72 hoursDerlirium tremens; visual hallucinations, disorientation, tachycardia, hypertension, low- grade fever, agitation, diaphoresis